Amalgam contributes to etiology of chronic periodontal disease overlong because it acts as:
1. A mechanical irritant
2. Plaque retaining area
3. Nondeficiency tooth surface
4. overcontoured tooth surface

Correct answer: 2. Plaque retaining area